Beta glucosidase deficiency causes -
1. Gaucher's disease
2. Fabry's disease
3. Krabbe's disease
4. GM1 gangliosidosis

Correct answer: 1. Gaucher's disease

Explanation: Ans. is 'a' i.e., Gaucher's diseaseLipid storage disordersDisorderEnzyme defectGaucher's diseaseb glucosidaseNiemann Pick diseaseSphingomyelinaseFabry's diseasea galactosidaseGM1 gangliosidosisb galactosidaseGM2 gangliosidosisHexosaminidase ASandhoff s diseaseHexosaminidase A and BKrabbe's diseaseGalactosyl ceramidaseMetachromatic leukodystrophyAryl Sulfatase AFarber's diseaseCeramidaseWolman's diseaseAcid lipase